Glassware is sterilized in hot air over at what temperature -
1. 70degC for 30 minutes
2. 50degC for 1 hour
3. 121 degC for 15 minutes
4. 160degC for 45 minutes

Correct answer: 4. 160degC for 45 minutes

Explanation: Ans. is 'd' i.e., 160degC for 45 minutes MethodTemperature (degC)Holding time (in minutes)Autoclave12115 12610 1343Hot air oven16045 17018 1807.5 1901.5